Which of the following antibiotics class is not safe in pregnancy :
1. Quinolones
2. Cephalosporins
3. Penicillins
4. Macrolides

Correct answer: 1. Quinolones